Integrated management of childhood illness (IMCI) initiative was taken to prevent morbidity an mortality from all of the following except -
1. Malaria
2. Malnutrition
3. Otitis Media
4. Neonatal tetanus

Correct answer: 4. Neonatal tetanus

Explanation: Neonatal tetanus is not included in IMNCI. Reference:Park's textbook of preventive and social medicine,K.Park,23rd edition,page no:460.